All are true statements about Alzheimer's disease except:
1. Down's syndrome association is protective
2. Neural plaques containing Ab amyloid are seen
3. Hippocampus is severely affected
4. 10% patients develop Capgras syndrome

Correct answer: 1. Down's syndrome association is protective

Explanation: (A) Down's syndrome association is protective # Pathogenesis of Alzheimer's disease:> Earliest metabolic change occur in prenatal cortex but most severe lesion seen in hippocampus, temporal cortex and nucleus basalis of myernest (Lateral septur).> Important microscopic findings : "Senile" plaques an cytoplasmic neurofibrillary tangles (NFTs).> Neuritic plaque contain : AfJ amyloid, proteoglycans, ApoE, antichymotrypsin, and other proteins.> NFTs are silver-staining, twisted neurofilaments in neuronal cytoplasm that represent abnormally phosphorylated tau (t) protein and appear as paired helical filaments by electron microscopy. Tauis microtubule associated protein that may function to assemble and stabilize microtubules that convey cell organelles, glycoproteins and other important materials through neuron.> Phosphorylation of tau protein may disturb normal process.> Cerebral cortical level of Ach, CAT and nicotinic cholinergic receptors.> Genetic factors : Mutation on APP gene located on chromosome 21 Mutation in presenelins 1&2 (located on chromosome 1 & 14 respectively). ApoE gene is on chromosome no. 21. ApoE is involved in cholesterol transport. The e4 allele of ApoE genes shows strong association with AD. The ApoE e4 allele specially in homozygous state 4/4 is an important risk factor for AD.